Which is not a metastatic complication of gonococci -
1. Endocarditis
2. Meningitis
3. Nephritis
4. Arthritis

Correct answer: 3. Nephritis